All of the following statements about mycophenolate mofetil are true except :
1. It is a prodrug
2. Gastrointestinal toxicity is common
3. It is used in transplant recipients where other drugs are not effective
4. It is highly nephrotoxic

Correct answer: 4. It is highly nephrotoxic

Explanation: Mycophenolate mofetil is a prodrug, its active metabolite is mycophenolic acid.
It is used as an immunosuppressant drug in solid organ transplant patients for refractory rejection and as an alternative to cyclosporine /tacrolimus in patients who do not tolerate these drugs.

- Major toxicity is gastrointestinal (nausea, vomiting, diarrhea, abdominal pain). It can also cause hypertension and reversible neutropenia.
- Unlike cyclosporine and tacrolimus, it does not cause nephrotoxicity.